In Klippel-Feil syndrome, the patient has all of the following clinical features, EXCEPT:
1. Low hair line
2. Bilateral Neck webbing
3. Bilateral shortness of sterno mastoid muscles
4. Gross limitations of neck movements

Correct answer: 3. Bilateral shortness of sterno mastoid muscles

Explanation: Bilateral shortness of sternomastoid is not included in Klippel-Feil syndrome. Ref:Harrison's Principles of Internal Medicine, 14th Edition, Page 2120 and 15th Edition, Page 2174